Second primary tumor of head and neck is most commonly seen in malignancy of:
1. Oral cavity
2. Larynx
3. Hypopharynx
4. Paranasal sinuses

Correct answer: 1. Oral cavity

Explanation: Ans. (a) Oral cavityRef: Bailey and Love Page 712* Field cancerization:# This is a phenomenon in which the risk factors like smoking, HPV etc., stimulate the growth of similar cancer in other sites with same predisposing factors.# Such Phenomenon is common in oral cavity cancer. They are highly prone to Lung cancer and other head and neck cancers due to field cancerization.